False about MRI
1. Multiple Plane image
2. No ionizing radiation
3. Excellent.soft tissue differentiation
4. Good for calcified lesions and bone

Correct answer: 4. Good for calcified lesions and bone

Explanation: CT is good for calcified lesions and bone.